All of the following are true about Helicobacter pylori except -
1. About 50% of world population affected
2. 85% of population is affected in some developing contries
3. All childrens in developing countries have immunity by five years of age
4. Infection is common in low socioeconomic status

Correct answer: 3. All childrens in developing countries have immunity by five years of age